Selective media for Vibrio cholerae
1. TCBS medium- Thiosulfate, Citrate, Bile salt & Sucrose
2. Thayer main medium
3. Skirrow medium
4. Ceftrioxone broth

Correct answer: 1. TCBS medium- Thiosulfate, Citrate, Bile salt & Sucrose

Explanation: TCBS medium- Thiosulfate, Citrate, Bile salt & Sucrose Repeat .from May 2008